Synovial fluids of normal joints are usually devoid of collagen. Patients with rheumatoid diseases have various types of collagen in their synovial fluid, depending on the tissue being damaged. If a patient has type II collagen in the synovial joint, which of the following tissues is being eroded?
1. Vascular Endothelium
2. Compact Bone
3. Vascular Smooth Muscle
4. Articular Cartilage

Correct answer: 4. Articular Cartilage

Explanation: Type II collagen is present only in Hyaline and Elastic Cartilages. Finding of type II collagen in the synovial fluid of a joint indicates erosion of the articular cartilage. TYPE LOCATION Type I Dermis, tendon, ligaments and bone Type II Cartilage, vitreous body, nucleus pulposus Type III Skin, vessel wall, reticular fibre of most tissues (lungs, liver, spleen...) Type IV Basement membrane